BRCA 1 & 2 genes are located on chromosomes
1. 13 & 17
2. 17 & 22
3. 17 & 13
4. 13 & 22

Correct answer: 3. 17 & 13

Explanation: BRCA-1 Familial breast & ovarian ca Ca of male breast Prostate Pancreas Fallopian tube